All are true regarding membranous urethral injury except
1. It occurs due to direct blow to the perineum
2. High lying prostate seen
3. Pelvic hematoma occurs
4. Deep extravasation urine collects in perivesical space

Correct answer: 1. It occurs due to direct blow to the perineum

Explanation: Membranous urethral injury occurs due to fracture of pelvis.